Uses of woods light includes following EXCEPT
1. Urine examination in porphyria
2. Examination of hair in T. capitis
3. Sclerema
4. Erythrasma

Correct answer: 3. Sclerema

Explanation: Sclerema is characterized by diffuse hardening of the subcutaneous tissue with minimal inflammation. It usually affects premature, ill newborns. Diagnosis of Sclerema does not require use of wood light.